All of the following lead to increased dissociation of O2 from Hb except
1. HbF
2. Increased CO2
3. Increase H+
4. Increase Temperature

Correct answer: 1. HbF

Explanation: Fetal hemoglobin or fetal hemoglobin, (also hemoglobin F or HbF) is the main oxygen transport protein in the human fetus during the last seven months of development in the uterus and in the newborn until roughly 6 months old.Ref: Ganong's Review of Medical Physiology; 24th edition; page no:641